Most common cause of non-gonococcal urethritis -
1. Mycoplasma hominis
2. Mycoplasma genitalium
3. Ureoplasma urealyticum
4. Chlamydia trachomatis

Correct answer: 4. Chlamydia trachomatis

Explanation: Ans. is 'd' i.e., Chlamydia trachomatis urethritisGonococcal Nongonococcal Neisseria gonorrhea Chlamydia Trachomatis (most common) Ureoplasmaurealyticum Mycoplasmagenitalium Bacterioides Haemophilus species Candida albicans T.vaginalis